Triple therapy of H. pylori include all EXCEPT
1. Omeprazole
2. Clarithromycin
3. Metronidazole
4. Sucralfate

Correct answer: 4. Sucralfate

Explanation: D. i.e. (Sucralfate) (949 -H17th)Recommended Regimens for Helicobacter PyloriRegimen DurationDrug 1Drug 2Drug 3Drug 4First line Treatment* Regimen 1 OCA (7-14 days)OmeprazoleClarithromycinAmoxicilline-* Regimen 2 OCM (7-14 days)OmeprazoleClarithromycinMetronidazole-Second Line Treatment Regimen 3 OBTM (14 days)OmeprazoleBismuth subsalicylateTetracycline HCLMetronidazole* H. pylori carriage peptic ulceration and gastric adenocarcinoma are falling while rates of esophageal reflux disease and its sequelae are increasingImmuno suppressive Drug Therapy in Kidney Transplantation (1353- CSDT)"Triple therapy" using1. Corticosteroid2. Calcineurin inhibitor3. Antimetabolite or a TOR (target or rapamycin) inhibitor